Most common extra skin manifestation of varicella is involvement of ?
1. CNS
2. Lungs
3. Kidneys
4. CVS

Correct answer: 1. CNS

Explanation: Ans. is 'a' i.e., CNS The most common extracutaneous site of involvement in children is the CNS - Harrison Complications - The most common infectious complication of varicella is secondary bacterial superinfection of the skin, which is usually caused by streptococcus pyogenes or Staphylococcus aureus. - The most common extracutaneous site of involvement in children is CNS. - Varicella pneumonia is the most serious complication following chickenpox in adults. Complications CNS Pulmonary Others . Cerebellar ataxia . Pneumonia . Myocarditis . Meningitis . Nephritis . Encephalitis . Arthritis . G.B Syndrome . Hepatitis . Transverse Myelitis . Corneal lesions . Reye's Syndrome (with H/O salicylates) . Bleeding diasthesis